The most reliable criteria in G uastaf son method of age estimation is:
1. Attrition
2. Secondary dentin deposition
3. Transparency of root
4. Cementum apposition

Correct answer: 3. Transparency of root

Explanation: C i.e. Transparency of root